Microscopic examination of the reperfused myocardium is likely to have which of the following findings?
1. Cardiac myocyte swelling
2. Waviness of fibres
3. Contraction band necrosis
4. Neutrophilic infiltration

Correct answer: 3. Contraction band necrosis

Explanation: Microscopically, irreversibly damaged myocytes after reperfusion develop contraction band necrosis. In this pathologic process, intense eosinophilic bands of hypercontracted sarcomeres are created by an influx of calcium across plasma membranes that heightens actin-myosin interactions. In the absence of ATP, the sarcomeres cannot relax and get stuck in an agonal tetanic state.